All are non proliferative GN except -
1. Membranous GN
2. Mesangiocapillary GN
3. Diabetic glomerulosclerosis
4. Amyloidosis

Correct answer: 2. Mesangiocapillary GN

Explanation: Mesangiocapillary glomerulonephritis Mesangiocapillary glomerulonephritis (MCGN), also known as membranoproliferative glomerulonephritis, is a pattern of injury seen on renal biopsy that is characterised by an increase in mesangial cellularity with thickening of glomerular capillary walls. The typical presentation is with proteinuria and haematuria. It can be classified into two main subtypes. The first is characterised by deposition of immunoglobulins within the glomeruli. This subtype is associated with chronic infections, autoimmune diseases and monoclonal gammopathy. The second is characterised by deposition of complement in the glomeruli and is associated with inherited or acquired abnormalities in the complement pathway. This category comprises 'dense deposit disease', which is typified by electron-dense deposits within the GBM, and C3 glomerulonephritis that shows deposits similar to immunoglobulin-type MCGN. Treatment of MCGN associated with immunoglobulin deposits consists of the identification and treatment of the underlying disease, if possible, and the use of immunosuppressive drugs such as mycophenolate mofetil or cyclophosphamide. There are few specific treatments for MCGN associated with complement dysregulation, although eculizumab, the anti-C5 inhibitor that prevents formation of the membrane attack complex, has shown promise. Ref Harrison20th edition pg 256